Which of the following is a cause of sudden blindness in a quiet eye with a normal media and fundus:
1. Acute retrobulbar neuritis
2. Vitreous hemorrhage
3. Iridocyclitis
4. All of the above

Correct answer: 1. Acute retrobulbar neuritis

Explanation: Ans. A: Acute retrobulbar neuritis Conditions which produce visual loss with a normal fundus: Amblyopia Cortical blindness Retrobulbar neuritis Cone-rod dystrophy Chiasmal tumour